Heterozygous sickle cell anemia gives protection against -
1. G6PD
2. Malaria
3. Thalassemia
4. Dengue fever

Correct answer: 2. Malaria

Explanation: The possession of the sickle cell allele protects these individuals against malaria because the parasite dies when potassium leaks out of RBCs as they become sickle-shaped.
Types of anemia that have protective effect against P. falciparum malaria : -
G6PD deficiency, Sickle cell anemia, Thalassemia, HbC, Pyruvate kinase deficiency